Peg cells are present in
1. Ureter
2. Epidydimus
3. Fallopian tube
4. Testis

Correct answer: 3. Fallopian tube

Explanation: Peg cells are non-ciliated cells in the fallopian tube, helps in providing nutrition to the zygote.Reference: Krishna Garg Histology; 5th edition